TADALAFIL false is ?
1. It is longest acting phosphodiesterase inhibitor
2. It cannot be used for the treatment of PAH
3. It is used in erectile dysfunction
4. Its half life is 17-5 hours

Correct answer: 2. It cannot be used for the treatment of PAH

Explanation: Ans. is 'b' i.e., It cannot be used for the treatment of PAH Tadalafil is the longest acting phosphodiesterase inhibitor used for erectile dysfunction. Its half life is 17.5 hours. It can be used as once-daily phosphodiesterase type 5 (PDE5) inhibitor for the treatment of pulmonary arterial hypertension (PAH).